Bag and mask therapy is contraindicated in -
1. Diaphragmatic hernia
2. Congenital lung cysts
3. Tracheo Oesophageal fistula
4. Meconium aspiration

Correct answer: 1. Diaphragmatic hernia

Explanation: Ans. is 'a' Diaphragmatic hernia In diaphragmatic hernia the abdominal contents herniating into the thoracic cavity have already compromised ventilation. Giving bag and mask ventilation will worsen the condition of the patient, as air will also enter in the stomach and further compress the lungs.